Golden har svndrome-
1. 1st branchial arch
2. 1st & 2nd branchial arch
3. 2nd & 3rd branchial arch
4. 3rd & 4th branchial arch

Correct answer: 2. 1st & 2nd branchial arch

Explanation: Ans. is 'b' i.e., Ist & 2nd branchial arch Goldenhar syndrome (oculoauriculovertebral dysplasia with hemifacial microsomia) is a rare congenital de\>elopmental anomaly involving the first and second branchial arches.The classic features of this syndrome include ocular changes such as microphthalmia, epibulbar dermoids, lipodennoids and coloboma; aural features such as preauricular tragi, hearing loss and microtia; and vertebral anomalies such as scoliosis, hemivertebrae and cenncal fusion.In addition to facial, vertebral, ophthalmic malformations cardiovascular, CNS, genitourinary: malformations have been associated with goldenhar syndrome.